Complement responsible for activation of bacterial lysis is:
1. C3a
2. C3b
3. C5-9
4. C5a

Correct answer: 3. C5-9

Explanation: Membrane attack complex is responsible for cell lysis It consist of C-5,6,7,8,9 complement proteins. This MAC get deposited on the cell membrane, and drills holes into it Thus, Cell become premeable to water and ions, leading to osmotic death (lysis)